Recently aseptic meningitis was discovered as an adverse effect of which of the following drug?
1. Ibuprofen
2. Paracetamol
3. Ketorolac
4. Nimesulide

Correct answer: 1. Ibuprofen

Explanation: Ibuprofen is a common nonsteroidal anti-inflammatory drug that is the most frequent cause of aseptic meningitis induced by drugs. The incidence of this type of aseptic meningitis is increasing, mainly among patients with underlying autoimmune connective tissue disorder Ref: G n G 13th ed.